Incidence of Down's syndrome is directly proportional to
1. Parity
2. Consanguinity
3. Maternal age
4. Mutations

Correct answer: 3. Maternal age

Explanation: Ans. c (Maternal age). (Ref. Harrison, Internal Medicine, 16th ed., 383)The incidence of Down ys syndrome is highly correlated to maternal age.QUADRUPLE TEST FOR DOWN'S SYNDROME# AFP |# beta-HCG |# Unconjugated estriol |# Human placental lactogen/placental protein A |